A 25 yr. old comes in emergency with 2 1/2 months amenorrhea and abdominal pain and bleeding from vagina for 1 day. Her vitals are stable. On per speculum examination, mild bleeding is seen coming from the os. On per vaginal examination, the uterus is 10-week size, os is open and admits one finger. The most likely diagnosis is?
1. Threatened abortion
2. Missed abortion
3. Inevitable abortion
4. Incomplete abortion

Correct answer: 3. Inevitable abortion

Explanation: Ans. C. Inevitable abortionThe size of the uterus corresponds to the period of gestation, bleeding is mild, os is open, thus inevitable abortion.